False statement regarding culture media in microbiology -
1. Blood agar is best for anaerobic organisms
2. Chocolate agar is best for hemophilic organisms
3. Lowenstein-Jenson media is bestnfor mycobacteria
4. McConkey agar is best for gram negative enteric pathogens

Correct answer: 1. Blood agar is best for anaerobic organisms

Explanation: Anaerobic media: these media are used to grow anaerobic organisms for eg, Robertson's cooked meat medium Blood agar is an enriched, onselective, general purpose medium able to grow most aerobes, anaerobes, and fungi REF:Ananthanarayan & Panicker's Textbook of Microbiology 8th Edition pg no: 43